Which of the following substance causes retrograde contraction during gut peristalsis?
1. NO
2. Vasoactive Intestinal peptide
3. Substance P
4. None of the above

Correct answer: 3. Substance P

Explanation: Retrograde contraction by
Anterograde relaxation by



Acetycholine
Substance P
Serotonin


NO
Vasoactive Intestinal Peptide